Community fluorosis index was given by
1. Mc kay
2. Jackson
3. Dean
4. Black G.V.

Correct answer: 3. Dean